Tropical pulmonary eosinophilia is caused because of -
1. Occult filariasis
2. Cerebral melaria
3. Penumonic plague
4. Asthmatic bronchitis

Correct answer: 1. Occult filariasis

Explanation: Ans. is 'a' i.e., Occult filariasiso Occult filariasis is a rare condition which is caused by hypersensitivity- reaction to filarial antigen.o Micro filatia are absent in the blood.o Lymphatic filariasis is absent.o Indirect evidence of filarial infection is obtained by demonstrating antifilarial antibodies.